Hb saturation with oxygen is mostly dependent on
1. pO2
2. pCO2
3. HCO3-levels
4. Hb %

Correct answer: 1. pO2

Explanation: Increased pH (decreased H+), decreased temperature, decreased PaCO2, and decreased 2,3-DPG will increase oxygen binding to the haemoglobin Ref: Biochemistry by U. Satyanarayana 3rd edition Pgno : 198,199